Benzidine test is done to detect:
1. Semen
2. Blood
3. Bile
4. Saliva

Correct answer: 2. Blood

Explanation: Ans. Blood